Common type of Ca in middle '/3rd of oesophagus?
1. Adeno Ca
2. Squamous Ca
3. Adeno squamous Ca
4. Leiomyosarcoma

Correct answer: 2. Squamous Ca

Explanation: Ans. is 'b' i.e., Squamous cell carcinomaEsophageal carcinoma is of two common histological types -1.Squamous cell carcinomao Most common type world wide. o Most common type in India.o Occurs in upper and middle 1/3"' of esophagus.2. Adenocarcinomao Most common type in USA.o Located in the lower '/3rd of esophagus.